T.J.Crow
1. Coined the term "Dementia Praecox"
2. Gave 11 First rank symptoms
3. Divided Schizophrenia into 2 subtypes , Type I & Type II
4. Gave 4 'A's of Schizophrenia.

Correct answer: 3. Divided Schizophrenia into 2 subtypes , Type I & Type II

Explanation: Type I
Type II


Positive Symptoms
Negative Symptoms


CT and MRI normal
CT and MRI shows enlarged ventricles


Good Prognosis
Bad Prognosis